Human anatomical wastes are treated/disposed by ?
1. Autoclaving
2. Chemical disinfection
3. Incineration
4. Microwaving

Correct answer: 3. Incineration

Explanation: Ans. is 'c' i.e., Incineration Human anatomical wastes such as human tissues, organs, and body parts are classified as Waste Category No. I They are disposed in 'plastic bags' with a 'yellow color code' and treated by 'Incineration or deep burial'.